The second arch derivative among the following is
1. Malleus
2. Incus
3. Stapes
4. None

Correct answer: 3. Stapes

Explanation: The cartilage of the second arch forms the following: Stapes Styloid process Stylohyoid ligament Smaller cornu of hyoid bone Superior part of the body of hyoid bone HUMAN EMBRYOLOGY-INDERBIR SINGH tenth edition-page no:132